With regard to insulin resistance seen in PCOD women false is
1. Both lean and obese women with PCOD are insulin resistant.
2. β-Cell dysfunction independent of obesity can be seen in PCOD.
3. Acanthosis Nigricans and skin tags are dermatologic signs of insulin resistance.
4. Though insulin resistance is very common in PCOD, progressing to type-2 diabetes is very rare.

Correct answer: 4. Though insulin resistance is very common in PCOD, progressing to type-2 diabetes is very rare.

Explanation: Women with PCOD are at high risk for impaired glucose tolerance and type2 diabetes mellitus.